Which of the following parasite does not pass through liver during its life cycle ?
1. Fasciolopsis buski
2. Fasciola hepatica
3. Clororchis sinensis
4. Opisthorchis felineus

Correct answer: 1. Fasciolopsis buski

Explanation: Fasciolopsis buski is an intestinal parasite of humans and pigs. Humans are infected by eating aquatic vegetation containing infected cysts. Once in the intestine it excyst and mature into adults and its eggs are passed out through feces.